Cobras belong to -
1. Viperidae
2. Elapidae
3. Colubridae
4. Crotalide

Correct answer: 2. Elapidae

Explanation: Poisonous Snakes Poisonous snakes are divided into 5 families 1. Colubridae: e.g. African boomslanag snake, twig snakes 2. Alractaspididae: e.g. mole vipers or adders. 3. Elapidae: e.g. cobra, krait, coral snake. 4.A. Viperidae: e.g. Russell's viper, saw-scaled viper., B.Coalidae-rattle snake,pit viper 5. Hydrophidae: e.g. Sea snakes. REF;THE SYNOPSIS OF FORENSIC MEDICINE:KS NARAYANA REDDY;28th EDITION;PAGE NO 318